Incubation period of Rabies depends on:
1. Number of bites
2. Site of bite
3. Animal species
4. All of the above

Correct answer: 4. All of the above

Explanation: Ans. D: All of the above The incubation period for rabies is very variable, generally several weeks but varying from a week to a year or longer, depending on the virus strain, host species and the site of inoculation. In humans, periods from less than 10 days to as long as six years have been recorded, but more than half of cases show an incubation period of one to three months. Bites to the head or neck are generally associated with shorter incubation while bites to the extremities produce longer incubation periods.